Active substance in Dakins skin dressing agent used in burns is ?
1. Mafenide acetate
2. Silver sulfadiazine
3. Sodium hypochlorite
4. Nystatin

Correct answer: 3. Sodium hypochlorite

Explanation: Ans. is 'c' i.e., Sodium hypochlorite